Radioisotope study preferred for detection of parathyroid adenoma is?
1. I-131
2. Sestamibi scan
3. Thallium-201 scan
4. Tc 99m-MDP

Correct answer: 2. Sestamibi scan

Explanation: Sestamibi Scan Is preferred isotope study used for Parathyroid Adenoma I-131 is used for Systemic Radiotherapy of Thyroid Cancers Thallium-201 scan is used for Myocardial Perfusion Tc99m-MDP/Medronate is used for Bone scan